True about Down's syndrome -
1. Hypertonia
2. Simian crease
3. Lymphedema
4. All

Correct answer: 2. Simian crease

Explanation: Ans. is 'b' i.e., Simian crease Note - Upward sloping palpebral fissure is known as mangoloid slant.